Cercariae are infective form of-
1. S. haematobium
2. P. westermani
3. F. hepatica
4. T. solium

Correct answer: 1. S. haematobium

Explanation: Metacercaria larva are the infective form for all the trematodes, expect Schistosoma where cercarial larva are the infective form.